T-cell mature in -
1. Peyers patch
2. lymph node
3. Thymus
4. Bursa of fabricius

Correct answer: 3. Thymus

Explanation: Ans. is 'c' i.e., Thymus